True statement about Neurocysticercosis is:
1. Usually presents with generalized seizures
2. Albendazole is more effective than praziquantel
3. Usually presents with 6th nerve palsy and hemiparesis
4. High does steroid are given for hydrocephalus

Correct answer: 2. Albendazole is more effective than praziquantel

Explanation: Neurocysticercosis- Usually presents with focal seizures Standard therapy consists of Albendazole (10-15 mg/kg/d orally) or praziquantel (50 mg/kg/d orally). Albendazole is preferred, and corticosteroids appear to lower circulating praziquantel levels but increase albendazole levels. Corticosteroids are used for controlling seizures and some reports have shown exacerbation of disease after anti-helminthic therapy. Active lesions with a high likelihood of progression, such as intra-ventricular cysts, may benefit from therapy. Inactive calcified lesions probably do not benefit from therapy.